Sample registration system is done once in -
1. 6 months
2. 1 year
3. 2 years
4. 5 years

Correct answer: 1. 6 months